UPSIT is used for testing:
1. Olfaction
2. Hearing
3. Vision
4. None of the above

Correct answer: 1. Olfaction

Explanation: The University of Pennsylvania Smell Identification Test (UPSIT): A far superior test to other assessments is the University of Pennsylvania Smell Identification Test (UPSIT). It is highly recommended for the evaluation of a patient with smell disorder. This test utilizes 40 forced-choice items that feature microencapsulated scratch-and-sniff odors.